Serum does not contain
1. Fibrinogen
2. Cerruloplasmin
3. Albumin
4. Globulin

Correct answer: 1. Fibrinogen

Explanation: Serum has essentially the same composition as plasma, except that its fibrinogen and clotting factors II, V, and VIII (Table 32-5). (Ref: Ganong's review of medical physiology 23rd Edition page no.530)